karyopyknotic index is
1. Ratio of mature squamous cells over the intermediate and basal cells.
2. Ratio of dysplastic squamous cells over the normal squamous cells.
3. Ratio of Koilocytes over normal squamous cells.
4. Ratio of immature basal cells over total number of cells.

Correct answer: 1. Ratio of mature squamous cells over the intermediate and basal cells.

Explanation: Karyopyknotic index is ratio of mature squamous cells over the intermediate and basal cells.